Prothrombin activator complex is made of
1. Factor Xa, Va, VIIIa
2. Factor Va, VIIa, Platelet Phospholipids
3. Factor Xa, VIIIa, Tissue Phospholipids
4. Factor Xa, Va, Platelet Phospholipids

Correct answer: 4. Factor Xa, Va, Platelet Phospholipids

Explanation: Activated Factor X combines with Factor V and platelet or tissue phospholipids to form the complex called prothrombin activator. Reference: Guyton Physiology; 13th ed; Page: 488